A person developed severe vomiting after eating food from chinese restaurant, 3 hours before. Most likely causative agent is:
1. Staph. aureus
2. B. cereus
3. C. difficle
4. Pseudomonas

Correct answer: 2. B. cereus

Explanation: Ans. is. 'b' i. e. B. cereus